Kerley B line is seen on chest x ray when left atrial pressures exceed:
1. 10 mm Hg
2. 15 mm Hg
3. 20 mm Hg
4. 30 mm Hg

Correct answer: 3. 20 mm Hg

Explanation: The earliest chest X ray changes in mitral stenosis are straightening of the upper left border of the cardiac silhouette, prominence of the main pulmonary arteries, dilatation of the upper lobe pulmonary veins, and posterior displacement of the esophagus by an enlarged LA. Kerley B lines are fine, dense, opaque, horizontal lines that are most prominent in the lower and mid-lung fields and that result from distention of interlobular septae and lymphatics with edema when the resting mean LA pressure exceeds approximately 20 mmHg. Ref: Harrison's principle of internal medicine 17th edition, chapter 230.